Which of the following is immediate precursor of acetoacetate during ketone body synthesis
1. Acetone
2. Malonyl CoA
3. HMG CoA
4. Acetoacetyl CoA

Correct answer: 3. HMG CoA